Protein synthesis occurs in:
1. Smooth endoplasmic reticulum
2. Rough endoplasmic reticulum
3. Golgi bodies
4. Nucleus

Correct answer: 2. Rough endoplasmic reticulum

Explanation: Ans. B i.e. Rough endoplasmic reticulumRough ERThe surface of the rough endoplasmic reticulum (often abbreted RER) is studded with protein-manufacturing ribosomes giving it a "rough" appearance (hence its name).